IUCD must not be used in a woman with-
1. Genital herpes with severe non-purulent discharge
2. Pelvic tuberculosis
3. AIDS on ARV therapy
4. Recto-vaginal fistula

Correct answer: 2. Pelvic tuberculosis

Explanation: Pelvic tuberculosis is an absolute contraindication for IUD insertion. Absolute contraindications for IUD Relative contraindications for IUD Suspected Pregnancy PID Vaginal Bleeding of undiagnosed etiology Ca Cervix,Uterus or Adnexa and other pelvic tumours Previous Ectopic Pregnancy Anaemia Menorrhagia History of PID since last pregnancy purulent cervical discharge Congenital uterine malformations Unmotivated person